WHO headquarters of Southeast Asia is at:
1. New Delhi
2. Ceylon
3. Katmandu
4. Islamabad

Correct answer: 1. New Delhi

Explanation: HEADQUARTERS

African region - Brazzaville, Congo
Region of the Americas -  Washington D.C, USA
Southeast Asia Region -  New Delhi, India
European Region - Copenhagen, Denmark
Eastern Mediterranean Region - Cairo, Egypt
Western Pacific Region - Manila, Philippines

Essentials of preventive and community dentistry 
Soben Peter 
5th edition